"Triangle of Doom" dissected and seen during Laparoscopic inguinal hernia repair is bounded by all EXCEPT:
1. Vas deference
2. Gonadal Vessels
3. Peritoneal fold
4. Inferior epigastric artery

Correct answer: 4. Inferior epigastric artery

Explanation: Ans. (d) Inferior Epigastric arteryRef Surgery Sixer 3rd Page 548* Vas deferns, Gonadal vessels and Peritoneum form the boundary of Doom Triangle